Cerebral malaria is caused by Plasmodium
1. Ovale
2. Falciparum
3. Vivax
4. Malariae

Correct answer: 2. Falciparum

Explanation: (B) Falciparum # Cerebral Malaria - one of commonest complication of falciparum malaria> In cerebral malaria, lesions occur in the central nervous system.> These consist of congestion of the meninges and brain, occlusion of capillaries in brain, numerous petechial perivascular hemorrhages, and necrotic lesions in mid zonal brain tissue, with peripheral glial reaction (malarial granuloma) around occluded blood vessels.